Hypomimia is ?
1. Decreased ability to copy
2. Decreased execution
3. Deficit of expression by gesture
4. Deficit of fluent speech

Correct answer: 3. Deficit of expression by gesture

Explanation: Ans. C. Deficit of expression by gestureHypomimiaHypomimia or amimia is a deficit or absence of expression by gesture or mimicry.This is usually most obvious as a lack of facial expressive mobility (mask - like facies).This is a feature of frontal subcortical disease.